Not a feature of deep burn is
1. Black charred skin
2. White leathery skin
3. Loss of pain sensation
4. Blisters

Correct answer: 4. Blisters